Blood supply of upper part of vagina
1. Middle rectal artery
2. Internal pudendal artery
3. Cervicovaginal branch of uterine artery
4. Superior rectal artery

Correct answer: 3. Cervicovaginal branch of uterine artery

Explanation: The vaginal artery is usually defined as a branch of the internal illiac artery. The vaginal artery can arise from the internal iliac artery or the uterine artery. However, the phrase vaginal branches of uterine artery are the term for blood supply to the vagina coming from the uterine artery. Ref - BDC 6e vol2 pg 394